Causes of pulmonary renal syndrome:
1. Leptospirosis
2. Hanta virus
3. Paraquat poisoning
4. All of the above

Correct answer: 4. All of the above

Explanation: Answer is D (All of the above): Laptosporiasis, hanta virus infection and Paraquat poisoning may all cause Pulmonary Renal syndrome Differential diagnosis of the "pulmonary- renal syndrome" Lung haemorrhage and glomerulonephritis ANCA-associated vasculitis Wegener's granulomatosis - Microscopic polyarteritis Churg Strauss Syndrome Renal Limited vasculitis Anti-GBM disease - Good posture's syndrome Cryoglobulinemic vasculitis * Henoch-Schonlein purpura * Bechet's syndrome Systemic lupus ervthematosus, RA, systemic sclerosis, Polymyositis and other connective tissue disorders Pulmonary infections with renal failure Any severe pneumonia with ATN Legionella Hantavirus Leptospirosis Severe pulmonary oedema associated with renal failure of any cause RPGN Idiopathic immune complex GN Pulmonary emboli with IVC thrombosis Paraquat poisoning